Which of the following is an important etiological factor for nasopharyngeal carcinoma?
1. Cytomegalovirus
2. Epstein Barr virus
3. Human Herpes Virus
4. Varicella

Correct answer: 2. Epstein Barr virus

Explanation: Ans. is 'b' i.e., Epstein Barr virusEtiology of Nasophary ngeal carcinomao Nasopharyngeal carcinoma is multifactorial in origin, the three risk factors are1) Genetic: Chinese have a higher genetic susceptibility to nasopharyngeal cancer. Even after migration to other countries2) Viral: Epstein- Bar virus is closely associated with nasopharyngeal cancer. Specific viral markers are being developed to screen people in high incidence areas.3) Environmental: Air pollution, smoking of tobacco and opium, nitrosamines from dry salted fish, smoke from burning of incense and wood have all been incriminated.